Gordon's clarification of death signifies:
1. Mechanism of death
2. Causes of death
3. Modes of death
4. Manner of death

Correct answer: 3. Modes of death

Explanation: Ans. Modes of death